The internal oblique muscle is inserted into all of the following structures except ?
1. xiphoid process
2. iliac crest
3. pubic crest
4. linea Alba

Correct answer: 2. iliac crest

Explanation: Insertion of internal oblique muscle - 1. The uppermost fibres are inserted directly into the lower three or four ribs and their cartilages. 2. The greater part of the muscle ends in an aponeurosis through which it is inserted into the seventh, eighth and ninth costal cartilages, the xiphoid process, the linea alba, the pubic crest and the pectineal line of the pubis . Ref : B D Chaurasia's Human Anatomy , seventh edition , volume 2 , pg. no., 223.